Sterilisation procedure with maximum chances of a successful reversal surgery is:
1. Pomeroy's tubal ligation
2. Irwing's technique
3. Laparoscopic tubal ligation with silastic bands
4. Laparoscopic tubal ligation with clips

Correct answer: 4. Laparoscopic tubal ligation with clips

Explanation: Tubectomy techniques Reversal rates Laparoscopic Clips 88% Laparoscopic Ring 75% Pomeroys 59% Electrocoagulation 43% Vasectomy reversal 50% at most